One of the following is not true of Ponderal index:
1. It is measure of obesity
2. Is height and weight independent
3. Is height and weight dependant
4. Age independent

Correct answer: 2. Is height and weight independent

Explanation: Ans: bRef: Park, 17thed, p. 299